Dermatome of posterior thigh :
1. L4
2. L5
3. S1
4. S2

Correct answer: 4. S2

Explanation: Dermatome for posterior calf and thigh is S2. Ref : Gray's Anatomy The Anatomical Basics of Clinical Practice 41 e pg 1324.